Normal adult person's blood contains:
1. 40% neutrophils
2. 30% lymphocytes
3. 20% eosinophils
4. 10% basophils

Correct answer: 2. 30% lymphocytes